A young child ingests silver polish by accident. The local poison control center states that cyanide is a common ingredient of silver polish.For the above patient with a toxic ingestion or exposure, select the most likely clinical effect.
1. combines with cytochromes and catalase to block hydrogen and electron transport, thus producing tissue asphyxia
2. methemoglobinemia
3. vertigo, hyperventilation, tinnitus, and deafness
4. bone marrow depression

Correct answer: 1. combines with cytochromes and catalase to block hydrogen and electron transport, thus producing tissue asphyxia

Explanation: Cyanide is contained in silver polish, insecticides, rodenticides, and some plants. Inhalation of hydrogen cyanide may cause death within a minute; oral doses act more slowly, requiring several minutes to hours. Cyanide combines with cytochromes and catalase to produce tissue asphyxia. The treatment for cyanide poisoning includes the administration of IV sodium thiosulfate, which hastens the transformation of the cyanide to thiocyanate, which is excreted in the urine.